Which of the following condition is associated with increased AFP levels?
1. Down's syndrome
2. Molar pregnancy
3. Overestimated gestational age
4. Congenital nephrosis

Correct answer: 4. Congenital nephrosis

Explanation: When no fetal or placental abnormality is detected after a specialized sonographic evaluation, with or without amniocentesis, the AFP elevation is considered unexplained. Some conditions associated with unexplained abnormal maternal serum alpha-fetoprotein concentrations: Elevated Levels: Underestimated gestational age Multifetal gestation Fetal death Neural-tube defects Gastroschisis Omphalocele Low maternal weight Pilonidal cysts Esophageal or intestinal obstruction Liver necrosis Cystic hygroma Sacrococcygeal teratoma Maternal hepatoma or teratoma Urinary obstruction Renal anomalies--polycystic kidneys, renal agenesis Congenital nephrosis Osteogenesis imperfecta Congenital skin defects Cloacal exstrophy Chorioangioma of placenta Placental abruption Oligohydramnios Preeclampsia Low birthweight Low Levels: Obesity Diabetes Chromosomal trisomies Gestational trophoblastic disease Fetal death Overestimated gestational age Ref: Cunningham F.G., Leveno K.J., Bloom S.L., Hauth J.C., Rouse D.J., Spong C.Y. (2010). Chapter 13. Prenatal Diagnosis and Fetal Therapy. In F.G. Cunningham, K.J. Leveno, S.L. Bloom, J.C. Hauth, D.J. Rouse, C.Y. Spong (Eds), Williams Obstetrics, 23e.